An infant develops cough and fever. The X-ray examination is suggestive of bronchopneumonia. All of the following viruses can be the causative agent, EXCEPT:
1. Parainfluenza viruses
2. Influenza virus A
3. Respiratory syncytial virus
4. Mumps virus

Correct answer: 4. Mumps virus

Explanation: Mumps occur between the ages of 5 & 15. Infants are rarely involved due to presence of transplacentally acquired maternal mumps antibodies. Ref: O P Ghai Essential Pediatrics, 6th Edition, Page 209